In a surgical patient, the causes of non-surgical infection are all except
1. Lower respiratory tract infection
2. Wound infection
3. Clostridium difficile diarrhea
4. UTI

Correct answer: 2. Wound infection

Explanation: Hospital acquired Infection (HAI) Infection that follows surgery or admission to hospital Common HAI are 1. Respiratory infections(including ventilator associated pneumonia) 10-15% 2. UTI(mostly related to urinary catheters) 30-40%(MC) 3.Bacteraemia (mostly related to indwelling vascular catheters) 10-15% Surgical site infections 15-20%(2nd most common) Antibiotic associated diarrhea, caused by clostridium difficle 5-10% Ref: Sabiston 20th edition Pgno :322-323